A 30 year old man involved in a fisticuff, injured his middle finger and noticed slight flexion of DIP joint. X-ray were normal. The most appropriate management at this stage is :
1. Ignore
2. Splint the finger in hyperextension
3. Surgical repair of the flexor tendon
4. Buddy strapping

Correct answer: 2. Splint the finger in hyperextension

Explanation: An acute mallet finger should be splinted with the DIP joint in hyper extension for 8 weeks.